Celiac plexus block all the following is true Except
1. Relieved pain from gastric malignancy
2. Cause hypotention
3. Can be used to provide anesthesia for intra abdominal surgery
4. Can be given only by retrocrural (classic) approach

Correct answer: 4. Can be given only by retrocrural (classic) approach

Explanation: Celiac plexus block can be done by following three approaches:-retrocrural (classic) approach, anterocrural approach, and splanchnic nerve block.(Refer: Morgan and Mikhail's Clinical Anaesthesiology, 5th edition, pg no. 1073,1074)